Cannon ‘a’ wave in venous waveform is suggestive of
1. AV dissociation
2. Atrial fibrillation
3. Tricuspid incompetency
4. All of the above

Correct answer: 1. AV dissociation

Explanation: The venous waveform is divided into several distinct peaks. The 'a' wave reflects right atrial presystolic contraction and occurs just after the electrocardiographic P wave, preceding the first heart sound (S). A prominent 'a' wave is seen in patients with reduced right ventricular compliance; cannon 'a' wave occurs with atrioventricular (AV) dissociation